Most common intra-abdominal solid tumor in children:
1. Wilms' tumor(Nephroblastoma)
2. Neuroblastoma
3. Rhabdomyosarcoma
4. Hodgkin lymphoma

Correct answer: 2. Neuroblastoma

Explanation: b. Neuroblastoma(Ref: Nelson's 20/e p 2461-2466, Ghai 8/e 617-618)Most common intra-abdominal solid tumor in children is Neuroblastoma, followed by Wilms' tumor.